The incidence of a foreign body being aspirated into the right lung is higher than into the left lung. All of the following statements support this, EXCEPT:
1. Right inferior lobar bronchus is in continuation with the right principal bronchus
2. Right principal bronchus is more vertical than the left bronchus
3. Tracheal bifurcation directs the foreign body to the right lung
4. Right lung is shorter and wider than left lung

Correct answer: 4. Right lung is shorter and wider than left lung

Explanation: A foreign body is more likely to get aspirated into the right lung as the right bronchus is wider, shorter and more vertical than the left principal bronchus. The greater width and the more vertical angulation of the right principal bronchus explain why foreign bodies enter it more commonly that the left. Ref: Clinical Anatomy (A Problem Solving Approach) By Neeta V Kulkarni, 2nd Edition, Page 224, 225